Bilateral paralysis of accommodation can occur in patients with:
1. Diabetes
2. Syphilis
3. Diphtheria
4. All of the above

Correct answer: 4. All of the above

Explanation: Ans. All of the above